Arrange the following forces in order to reduce Dislocated shoulder using Modified Kocher's technique a. Adduction b. Traction c. External rotation d. Internal rotation
1. b-c-d-a
2. b-c-a-d
3. c-b-a-d
4. b-a-d-c

Correct answer: 2. b-c-a-d

Explanation: KOCHER METHOD::::'TEAM' is the mnemonic used for forces required for reduction of shoulder using Kocher method. TRACTION force is given along elbow at first,then EXTERNAL ROTATION is given, ADDUCTION is given and then a click sound is heard as shoulder gets reduced,MEDIAL ROTATION (Internal rotation) and then splintage is given with shoulder